The blood supply of breast is by all the following arteries except
1. Thoracodorsal artery
2. Thoracoacromial artery
3. Lateral thoracic artery
4. Internal thoracic artery

Correct answer: 1. Thoracodorsal artery

Explanation: The blood supply of breast is by internal thoracic artery, branches of axiallry artery, and posterior intercostal artery branches. BD CHAURASIA'S HUMAN ANATOMY. VOLUME 1. 6TH EDITION.PAGE NO 36